True statement about orbital articulation is -
1. Medial wall of orbit is formed by maxilla, sphenoid, ethmoid and the lacrimal bone
2. Floor is formed by maxilla, zygomatic and ethmoid
3. Lateral wall of orbit is formed by the frontal bone zygomatic bone, and greater wing of sphenoid
4. Inferior orbital fissure is formed between the medial wall and the floor of orbit

Correct answer: 1. Medial wall of orbit is formed by maxilla, sphenoid, ethmoid and the lacrimal bone

Explanation: Walls


Formation




 Roof


 Orbital plate of frontal




 Lateral wall


 Anterior surface of greater wing of sphenoid
 Orbital surface of frontal process of zygomatic  bone




 Floor


 Orbital surface of maxilla
 Orbital surface of zygomatic
 Orbital process of palatine bone




 Medial wall


 Frontal process of maxilla
 Lacrimal bone
 Orbital plate of ethmoid
 Body of sphenoid





Inferior orbital fissure is formed between lateral wall (not medial wall) and floor.